Arrange the following drugs according to their half life in increasing order 1. Amiodarone 2. Adenosine 3. Esmolol 4. Omeprazole
1. 1-2-4-3
2. 2-3-1-4
3. 4-3-1-2
4. 2-3-4-1

Correct answer: 4. 2-3-4-1

Explanation: Amiodarone is longest acting anti-arhythmic drug. Its half life is more than 3 weeks. Adenosine is shortest acting anti-arrhythmic drug having half life less than 10 seconds. Esmolol is an ultra short acting beta blocker. It is metabolized by pseudocholinesterase and thus has half life less than 5 minutes. Omeprazole has half life of 1-2 hours but works for 24 hours due to irreversible inhibition of proton pump. Thus, the sequence is Adenosine < Esmolol < Omeprazole < Amiodarone